In hibin are secreted by:
1. Granulosa cells of the ovary
2. Endometrial stromal tumor
3. Endodermal sinus tumor
4. Endometrial adeno carcinoma

Correct answer: 1. Granulosa cells of the ovary

Explanation: Ans: A (Granulosa..) "Inhibin is raised in granulosa celt tumors of the ovary"- Shaw's Gynaecology 14th/3INHIBIN Useful For# An aid in the diagnosis of patients with granulosa cell tumors of the ovary when used in combination with inhibin B# Monitoring of patients with granulosa cell tumors and epithelial mucinous-type tumors of the ovary known to secrete inhibin AClinical Information# Inhibins are heterodimeric protein hormones secreted by granulosa cells of the ovary in the female and Sertoli cells of the testis in the male. They selectively suppress the secretion of pituitary follicle stimulating hormone (FSH) and also have local paracrine actions in the gonads. The inbibins consist of a dimer of 2 homologous subunits, an alpha subunit and either a beta A or beta B subunit, to form inhibin A and inhibin B, respectively.In females, inhibin A is primarily produced by the dominant follicle and corpus luteum: whereas inhibin B is predominantly produced by small developing follicles. Serum inhibin A and B levels fluctuate during the menstrual cycle. At menopause, with the depletion of ovarian follicles, serum inhibin A and B decrease to very low or undetectable levels.Ovarian cancer is classified into 3 types: epithelial, stromal sex cord, and germ cell tumors. Epithelial ovarian tumors account for 90% of cases and are further subdivided into: serous (70%), mucinous (10%-15%), and endometrioid (10%-15%) types. Granulosa cell tumors represent the majority of the stromal sex cord tumors, which account for 2% to 5% of all ovarian tumors, n Inhibin seems to be a complementary' to cancer antigen 125 (CA 125) as an ovarian cancer marker. CA 125 is not as good of a tumor marker for mucinous and granulosa ovarian cell tumors. Inhibin shows a better performance in those 2 types of ovarian cancer.